Avulsed tooth is not kept in water because
1. Water is a hypotonic solution causes rapid cell lysis
2. Water is a hypertonic solution causes rapid cell lysis
3. Water is a hypotonic solution causes shrinkage of cells
4. Water is a hypertonic solution causes shrinkage of cells

Correct answer: 1. Water is a hypotonic solution causes rapid cell lysis